GNAQ mutations are seen in
1. Malignant melanoma
2. UVeal melanoma
3. Medullo epithelioma
4. All the above

Correct answer: 2. UVeal melanoma

Explanation: Mutations in GNAQ, the gene encoding an alpha subunit of heterotrimeric G proteins, are found in 40% of uveal melanomas.